Primary retinal detachment is seen in:
1. Diabetes
2. High myopia
3. Malignant melanoma
4. All of the above

Correct answer: 2. High myopia

Explanation: Ans. High myopia